Arden index is related to:
1. ERG (Electroretinogram)
2. EOG (Electroculogram)
3. VER (Visual evoked response)
4. Perimetry

Correct answer: 2. EOG (Electroculogram)

Explanation: Ans. EOG (Electroculogram)